All are true bout CBD stones except:
1. Associated with GB stones in 10% cases
2. Primary stones are usually brown
3. Laboratory values may be normal in one third cases of choledocholithiasis
4. Retained stones are discovered after 2 years of cholecystectomy

Correct answer: 4. Retained stones are discovered after 2 years of cholecystectomy

Explanation: Ans. (d) Retained stones are discovered after 2 years of cholecystectomy* Recurrent stone: discovered after 2 years after Cholecystectomy* Retained stone: discovered within 2 years after cholecystectomy